A patient treated for infertility, was diagnosed with twin pregnancy at 6 weeks gestation. On her follow up USG at 12 weeks, there was a single developing live fetus. Further management is?
1. Advice MTP as the second twin is at increased risk of aborting
2. Continue pregnancy like a normal singleton pregnancy
3. Watch for coagulation defect in mother
4. Chorionic villous sampling

Correct answer: 2. Continue pregnancy like a normal singleton pregnancy

Explanation: This is a case of vanishing twin. This may occur in upto 1 out of 8 twin pregnancies. When a twin dies in the first trimester it has no significant effect on the mother or the surviving fetus. The pregnancy should therefore be continued as a normal singleton pregnancy. In a slightly more advanced gestation, fetal death may also go unnoticed until delivery and may be compressed appreciably- fetus compressus , or may be flattened remarkably -fetus papyraceus.